Which of the following is a vector for Dengue fever?
1. Aedes aegypti
2. Culex
3. Anophelous
4. Mansonia

Correct answer: 1. Aedes aegypti

Explanation: Aedes aegypti:Principle vector of Dengue virusesAlso an efficient vector of the Yellow fever and Chikungunya virusesBreeds near human habitation, using relatively fresh waterUsually inhabits dwellings and bites during the dayRef: Harrison's 17/e p1230